THEME AND FOCUS: GLYCOLYSIS Case Study: A 42-year-old man presented with symptoms of weakness, fatigue, shortness of breath, and dizziness. His hemoglobin level was less than 7 g/dl (normal for a male being greater than 13.5 g/dl). Red blood cells of the patient showed abnormally low level of lactate production. Heinz bodies were not found in PBF. Lead Question: Deficiency of which one of the following enzymes would be the most likely cause of this patient's anemia?
1. Phosphoglucose isomerase
2. G6PD
3. Pyruvate kinase
4. Hexokinase

Correct answer: 3. Pyruvate kinase

Explanation: Pyruvate kinase deficiency would be most likely cause of patient's anemia | lactate production in the erythrocyte indicates a defect in glycolysis. Pyruvate kinase deficiency 2nd most common cause (after glucose 6-phosphate dehydrogenase deficiency) of enzyme deficiency related to hemolytic anemia. In G6PD deficiency - Heinz bodies